Cause of death in hanging is:
1. Venous congestion
2. Asphyxia
3. Cerebral anemia
4. All of the above

Correct answer: 4. All of the above

Explanation: Ans. D i.e. All of the above Mechanism of death: Cerebral anoxia: is due to bilateral occlusion of the carotid arteries. It is the most common cause. Cerebral congestion: is due to occlusion of the neck veins. Asphyxia: is due to direct compression of the air passages or lifting of the larynx to be closed by the root of the tongue. Reflex vagal inhibition: is due to stimulation of baroreceptors situated in the carotid sinuses and the carotid body